Hydrogen peroxide is used in all of the following chemical tests for blood except:
1. Benzidine test
2. Kastle Mayer test
3. Ortho toludine test
4. Teichmann test

Correct answer: 4. Teichmann test

Explanation: Ans. Teichmann test